Radical dissection of neck includes all except:
1. Cervical lymph nodes
2. Sternocleidomastoid
3. Phrenic nerves
4. Internal jugular vein

Correct answer: 3. Phrenic nerves